Which of the following is false about Chicken pox
1. Causative agent is varicella zoster
2. IP is 14-16 days
3. Secondary attack rate is about 60%
4. Rash spares palms & soles

Correct answer: 3. Secondary attack rate is about 60%

Explanation: SAR of Chicken pox is 90%.